TRUE statement regarding Kugel's anastomotic artery
1. Arise directly from arch of aorta
2. Given by left anterior descending artery
3. Branch of circumflex artery
4. Artery connected to coronary sinus

Correct answer: 3. Branch of circumflex artery

Explanation: Kugel's artery - come from proximal circumflex artery & reach distal part of right coronary artery (have variations) - help in emergencies ARTERIAL SUPPLY OF HEART:- There are left & right coronary arteries which are coming from ascending aorta.- Ascending aorta have 3 coronary sinuses- Right coronary artery - from right coronary sinus of ascending aorta- Left coronary artery - from left coronary sinus - Left coronary artery divides into * Left anterior descending artery/ Anterior Inter-ventricular artery running on & supplying anterior interventricular septum- Circumflex artery (around & behind heart) which anastomose with right coronary artery.- Though, they do have anastomosis anatomically, physiologically they are not going to help each other.- Kugel's artery - come from proximal circumflex artery & reach distal part of right coronary artery (have variations) - help in emergencies * Some times; connected to coronary venous sinus of heart forming arteriovenous anastomosis